Cheopis Index used for
1. Rabies
2. Plague
3. Yellow fever
4. Leishmaniasis

Correct answer: 2. Plague

Explanation: Flea indices Flea indices are useful measurements of the density of fleas. they are also useful in evaluating the effectiveness of a spraying programme.The following flea indices are widely used in rat flea surveysTotal flea indexCheopis indexSpecific percentage of fleasBurrow indexRef: Park; 23rd ed; Pg.no: 294